What is intermittent claudication experienced as?
1. Pain in the muscle at rest only
2. Pain in the muscle on first step
3. Pain in the muscle with exercise
4. Pain in the muscle at the end of exetion

Correct answer: 3. Pain in the muscle with exercise

Explanation: Intermittent claudication is pain affecting the calf, and, less commonly the thigh and buttock, which is induced by exercise and relieved by rest. It occurs as a result of muscle ischemia during exercise caused by obstruction to arterial flow. Ref: Schwartz's Principles of Surgery, 9th Edition, Chapter 23 ; Physical Therapist's Clinical Companion By Springhouse Corporation, Page 73